Diagnostic criteria for ovarian pregnancy is
1. Spiegelberg criteria
2. Studiford criteria
3. Rubin's criteria
4. Timor-Tritsch criteria

Correct answer: 1. Spiegelberg criteria

Explanation: Ectopic implantation of the fertilized egg in the ovary is rare and is diagnosed if four clinical criteria are met. These were outlined by Spiegelberg (1878):The ipsilateral tube is intact and distinct from the ovary The ectopic pregnancy occupies the ovaryThe ectopic pregnancy is connected by the uteroovarian ligament to the uterusOvarian tissue can be demonstrated histologically amid the placental tissue. Risk factors are similar to those for tubal pregnancies, but ART or IUD failure seems to be disproportionately associated Classically, management for ovarian pregnancies has been surgical. Small lesions can be managed by ovarian wedge resection or cystectomy, whereas larger lesions require oophorectomy Reference: William's Obstetrics; 25th edition; Chapter 19; Ectopic pregnancy